A 25-year-old man has bronchospasm that is exercise induced, particularly in the cold weather. He takes his medication 15 minutes prior to anticipated exercise, which will help to prevent the asthmatic attack but does not produce bronchodilation. Which drug does he take?
1. b-Agonist inhaler
2. Glucocorticoid inhaler
3. Chromone agent
4. IgE inhibitor

Correct answer: 3. Chromone agent

Explanation: MAST CELL STABILIZERS Sodium cromoglycate (Cromolyn sod.) It is a synthetic chromone derivative which inhibits degranulation of mast cells (as well as other inflammatory cells) by trigger stimuli. Release of mediators of asthma like histamine, LTs, PAF, interleukins, etc. is restricted. Bronchospasm induced by allergens, irritants, cold air and exercise may be attenuated. It is also not a bronchodilator and does not antagonize constrictor action of histamine, ACh, LTs, etc. Therefore, it is ineffective if given during an asthmatic attack. Pharmacokinetics Sodium cromoglycate is not absorbed orally It is administered as an aerosol through metered dose inhaler. Uses 1. Bronchial asthma 2. Allergic rhinitis 3. Allergic conjunctivitis Ref:-kd tripathi; pg num:-229